Which of the following causes orchitis without epididymitis:
1. Syphilis
2. TB
3. Gonorrhoea
4. Chlamvdia trachomatis

Correct answer: 1. Syphilis

Explanation: Ans. A: Syphilis In most cases of acute orchitis, the testicle is inflamed due to the spread of a bacterial infection from the epididymis, and therefore "epididymo-orchitits" is the correct term. Acute epididymo-orchitis is usually a primary bacterial or rarely a tuberculous infection of the epididymis that has spread to the testicle to involve both structures. Rarely, it can start in the testicle and spread to the epididymis. Chlamydia trachomatis is the most common cause of sexually transmitted disease causing acute epididymitis, though gonococcal is still prevalent. TB epididymitis should be considered when the vas is thickened and there is little response to the ususal antibiotics. Acute epididymo-orchitits develops in about 18% of males suffering from mumps, usually as the parotid swelling is waning. Orchitis may be seen in syphilis and leprosy